BRAF gene mutation is seen in?
1. Breast carcinoma
2. Melanoma
3. Osteosarcoma
4. Prostate carcinoma

Correct answer: 2. Melanoma

Explanation: Ans. is 'b' i.e., Melanoma BRAF mutation is associated with melanoma.